Sin of Gomorrah is -
1. Introducing male organ in oral cavity
2. Sexual intercourse with lower animal
3. Sexual intercourse through anus
4. Sexual intercourse with a person in close relation

Correct answer: 1. Introducing male organ in oral cavity

Explanation: Ans. is 'a' i.e., Introducing male organ in oral cavity * Buccal coitus (coitus per as/Sin of Gomorrah): In this, the male organ is introduced into mouth, usually of a young child. Fellatio is oral stimulation of penis by male or female. Cunnilingus is oral stimulation of female genitals.* Bestiality: is the sexual intercourse by a human being with a lower animal.* Sodomy is sexual intercourse through anus.* Incest means sexual intercourse by a man with a woman who is closely related to him by blood.